True regarding burns is all except
1. A dynamic wound
2. Severe hypovolemia due to loss of fluid
3. Assessment of wound done once on admission
4. There is oliguria

Correct answer: 3. Assessment of wound done once on admission

Explanation: Burn is a dynamic wound and so assessment should be repeated at regular intervals.